White piedra is caused by
1. Piedraia hortae
2. Pityrosporum orbiculares
3. Hortae werneckii
4. Trichosporon beigelii

Correct answer: 4. Trichosporon beigelii